. Beck's Triad Is seen in -
1. Constrictive Pericarditis
2. Cardiac tamponade
3. Right ventricular myocardial infarction (RVM
4. Restrictive cardiomyopathy

Correct answer: 2. Cardiac tamponade

Explanation: Beck's triad is a pathognomic feature of cardiac tamponade Beck's triad is a collection of three medical signs associated with acute cardiac tamponade, an emergency condition wherein fluid accumulates around the heart and impairs its ability to pump blood. The signs are low arterial blood pressure, distended neck veins, and distant, muffled heart sounds. Ref Harrison 20th edition pg 1416